All of the following changes are seen in the nucleus of necrotic cells, EXCEPT:
1. Pyknosis
2. Karyolysis
3. Karyorrhexis
4. Myelin figures

Correct answer: 4. Myelin figures

Explanation: Nuclear changes appear in necrotic cells in one of three patterns, all due to nonspecific breakdown of DNA. The basophilia of the chromatin may fade (karyolysis), a change that presumably reflects loss of DNA because of enzymatic degradation by endonucleases. A second pattern is pyknosis, characterized by nuclear shrinkage and increased basophilia. Here the chromatin condenses into a solid, shrunken basophilic mass. In the third pattern, known as karyorrhexis, the pyknotic nucleus undergoes fragmentation. With the passage of time (a day or two), the nucleus in the necrotic cell totally disappears. Ref: Robbins, 8th edition, Chapter 1.